All of the following are signs of Hydatid Cyst except?
1. Camalote sign
2. Floating membrane sign
3. Cart wheel appearance
4. Mercedes Benz sign

Correct answer: 4. Mercedes Benz sign

Explanation: Mercedes Benz Sign is seen with Air Trapped within Gallstones. Radiological Signs Of Hydatid Cyst Signs of nonruptured cysts in various organs Honeycomb (wheel spoke, spoke wheel, rosette, racemose) pattern Double line sign: unilocular cyst with double layered wall representing pericyst and laminated cyst membrane Signs of partially ruptured cyst in pulmonary hydatid disease Crescent sign Inverted crescent sign Signs of complete rupture / cyst degeneration in pulmonary hydatid disease Cumbo (onion peel, double arch) sign Water lily (camalote) sign folded membranes floating at the air-fluid interface Empty (dry) cyst sign air filled cyst after expectoration of membranes and fluid Signs of ruptured endocyst in hydatid cysts in various organs (e.g. Serpent (snake) sign wavy membranes within the cyst Spin (Whirl) sign Ball of Wool Sign